All are used in bronchial asthma, except -
1. Salbutamol
2. Morphine
3. Aminophyltine
4. Steroid

Correct answer: 2. Morphine

Explanation: Ans. is 'b' i.e., Morphine o Fluticasone and Budesonide are inhaled corticosteroids and potent anti-inflammatory medications in asthmaMedications in Bronchial AsthmaBronchodilatorsAntiinflammatory (Controllers)Beta 2 SvmoathomimeticsCorticosteroids finhalationalio Salbutamolo Beclomethasoneo Terbutalineo Budesunideo Bambuterolo Fluticasoneo Sal mete rolo Flunisolideo Formeterolo Ciclesonideo EphedrineCorticosteroids (systemic)o Methvlxonthineso Prednisoone; Hydrocortisone e/co TheophyllineMast cell stabilizerso Aminophyllineo Sodium cromoglycate (nedoevil sodium)Articholinergicso Ketoiifeno Ipratropium bromideLeukotriene antagonisto Tiotropium bromideo Montelukast o Zafirlukast etc